Hanifin & Rajke is the diagnostic criteria for -
1. Atopic dermatitis
2. Contact dermatitis
3. Urticaria
4. Erythroderma

Correct answer: 1. Atopic dermatitis

Explanation: ATOPIC DERMATITIS:-Atopic eczema.Chronically relapsing skin disorder that usually begins at infancy characterised by pruritus,xerosis and eczematisation. Clinical features-Infantile phase:- AD more acute with predominantly involving face,scalp and extensor surfaces of extremities.Typically there are papules,vesicles,excoriations and exudation. Childhood phase:-Lichenification and localisation of rash to the flexural folds of extremities. Adults:-Lichenification and skin prone to itching and inflammation. KEY DIAGNOSTIC FEATURES:-Hanifin and Rajka developed diagnostic criteria for AD based on clinical features. three major and three minor establishes diagnosis major criteria1. Pruritis.2. Typical morphology and histology-face/flexural involvement in infants and child.Flexural Lichenification in older children.3. Tendency towards chronicity.4. Personal/family history of an atopic disorder such as asthma,allergic rhinitis etc.. minor criteria Other common skin findings:-Xeroderma,recurrent infection due to herpes,staph aureus, Icthyosis, pityriasis alba. Eye findings- Conjunctivitis,Keratitis, keratoconys, Dennie morgan fold and anterior sub capsular cataract. type 1hypersensitivity elevated igE Early age of onset hand foot dermatitis periorbital darkening white dermographism chelitis keratosis pilaris hypelinearity of Palms and soles Ref Harrison20th edition pg 2340